Randomization:
1. It brings bias in study group, therefore avoided
2. It is the Procedure by which participants are allocated into groups usually called study' and control' group
3. It ensures that investigator has full control over allocation of participants to study or control group
4. It is done usually before entering in the study and then consent is taken

Correct answer: 2. It is the Procedure by which participants are allocated into groups usually called study' and control' group

Explanation: Ans. (b) It is the Procedure by which participants are allocated into groups usually called 'study' and 'control' groupRef: K. Park 23rd ed. / 82, 21st ed. /78* Randomization is "heart" of a control trial. It is a statistical procedure by which the participants are allocated into groups usually called "study" and "control" group.* It is an attempt to eliminate bias and allow comparability.* By doing this it is ensured that investigator has NO control over allocation of participants to study or control group. THIS REMOVES SELECTION BIAS.* RANDOMIZATION is done only after the participant has entered the study, i.e. after having been qualified for the trial and has given his informed consent to participate in the study.